Which of the following DOESN'T indicate ulnar nerve injury:
1. Clawing of medial 2 digits
2. Froment sign is present
3. Abductor Pollicis longus palsy
4. loss of sensory supply of medial little finger and medial half of ring finger

Correct answer: 3. Abductor Pollicis longus palsy

Explanation: Ans. (c) Abductor Pollicis longus palsyRef: Maheshwari 5th ed. / 65,67# The abductor pollicis longus muscle is innervated by the posterior interosseous nerve, which is a continuation of the deep branch of the radial nerve after it passes through the supinator muscle.# Froment's sign tests for palsy of the ulnar nerve, specifically, the action of adductor pollicis. To perform the test, a patient is asked to hold an object, usually a flat object such as a piece of paper, between their thumb and index finger (pinch grip). The examiner then attempts to pull the object out of the subjects hands. A normal individual will be able to maintain a hold on the object without difficulty.# However, with ulnar nerve palsy, the patient will experience difficulty maintaining a hold and will compensate by flexing the FPL (Flexor Pollicis Longus) of the thumb to maintain grip pressure causing a pinching effect.# Injury of the ulnar nerve at different levels causes varying motor and sensory deficits.